Lloyds classification is
1. Sensory fiber classification
2. Motor fiber classification
3. Both
4. None

Correct answer: 1. Sensory fiber classification

Explanation: Lloyds classification is also called numerical classification It is classification of only sensory fibers The sensory fiber are classified into 4 types Ref:Guyton and Hall textbook of medical physiology 12th edition,page number:72,73